Amongst various treatment modalities for nocturnal enuresis, the relapse rates have been observed to be lowest for:
1. Desmopressin
2. Imipramine
3. Bell alarm systems
4. Oxybutinin

Correct answer: 3. Bell alarm systems

Explanation: Bell alarm system have lower relapse rates than other pharmacologic therapy like desmopressin, imipramine. 'Direct comparisons of bell and bed compared to pharmacologic therapy favor the former because of lower relapse rates'. Ref: Nelson 18th Edition, Page 2250; A short textbook of psychiatry- Niraj Ahuja 5th Edition, Page 176, 177